Regarding diameters of normal female pelvis, which of the following is TRUE
1. Oblique diameter is the largest diameter of inlet
2. AP Diameter is the shortest diameter at brim
3. Obstetric conjugate indicates status of mid pelvis
4. Obstetric conjugate is calculated by adding 1.5 cm to diagonal conjugate

Correct answer: 2. AP Diameter is the shortest diameter at brim

Explanation: There is reason to suspect midpelvic contraction whenever the interspinous diameter is less than 10 cm. If the diameter is 8 cm or lesser, then its Diagnosed mid pelvic contraction